Kogoj's pustules are seen in?
1. Lichen planus
2. Pemphigus vulgaris
3. Mycosis fungoides
4. Psoriasis vulgaris

Correct answer: 4. Psoriasis vulgaris

Explanation: Ans. is'd'i.e., Psoriasis vulgarisOn histopathological examination of psoriasis lesion there is accumulation of polymorphs in stratum malpighi layer. These clusters are known as Kogoj pustules.